On per vaginal examination, anterior fontanelle and supra-orbital ridge is felt in the second stage of labor. The presentation is:
1. Brow
2. Shoulder
3. Vertex
4. Face

Correct answer: 1. Brow

Explanation: BROW PRESENTATION The diameter of engagement is MentoVertical which is 14 cms Occurs in a deflexed head Supraorbital ridges and anterior fontanelle is palpable Occiput is higher than sinciput No mechanism of labour as a mentovertical diameter. Delivery is by cesarean section